All of the following are true about the therapy of tuberculosis except:
1. Flu like syndrome is usually seen with rifampicin being taken on daily basis
2. Ethambutol accumulates in renal failure
3. Hyperuricemia is a recognized side effect of pyrazinamide
4. Red green color impairment is an early sign of ethambutol induced optic neuritis

Correct answer: 1. Flu like syndrome is usually seen with rifampicin being taken on daily basis

Explanation: Ans. (A) Flu like syndrome is usually seen with rifampicin being taken on daily basis(Ref: KDT 8th/e p810)Flu like syndrome is seen more commonly when rifampicin is administered on alternate days.Only first line antitubercular drug that do not require dose adjustment in renal failure is rifampicin.Pyrazinamide and ethambutol can cause hyperuricemia.Ethambutol causes red green colour blindness as early appearing adverse effect.